Following are the drugs used in alcohol dependence to prevent relapse except-
1. Fluoxetine
2. Nalmefene
3. Acamprosate
4. Topiramate

Correct answer: 1. Fluoxetine

Explanation: Ans. is 'a' i.e., FluoxetineDrugs used for alcohol dependence to ore vent relaDse are:oNaltrexaneoNalmefeneo Acamprosateo Disulfiramo Ondansetrono Topiramate